As per the Factory act, the maximum working hours per week is:
1. 35 hours
2. 42 hours
3. 48 hours
4. 56 hours

Correct answer: 3. 48 hours

Explanation: The Factory Act has prescribed a maximum 48 hours per week, not exceeding 9 hours per day with rest for at least half hour after 5 hours of continuous work. Ref: Park 21st edition, page 756